Pulse pressure is calculated by ?
1. 1/3 diastolic +1/2 systolic B.P.
2. 1/2 diastolic +1/3 systolic B.P.
3. Systolic-diastolic B.P.
4. Diastolic + 1/2 systolic B.P.

Correct answer: 3. Systolic-diastolic B.P.

Explanation: The pulse pressure is the difference between systolic and diastolic pressures, normally about 50mmHg. Ref : Harrison 20th edition pg 1435